Which layer of epidermis is underdeveloped in the VLBW infants in the initial 7 days:
1. Stratum germinativum
2. Stratum granulosum
3. Stratum lucidum
4. Stratum corneum

Correct answer: 4. Stratum corneum

Explanation: D i.e. Stratum corneum